Antibody associated with cold antibody immunohemolytic anemia is:
1. IgA
2. IgE
3. IgG
4. IgM

Correct answer: 4. IgM

Explanation: Cold antibody immunohemolytic anemia usually is caused by low-affinity IgM antibodies that bind to red cell membranes only at temperatures below 30°C, occurs in distal parts of the body (e.g., ears, hands, and toes) in cold weather.
 Warm antibody immunohemolytic anemia is caused by immunoglobulin G (IgG) or (rarely) IgA antibodies that are active at 37°C.